Function of superior oblique muscle:
1. Intortion
2. Extortion
3. Lateral rotation
4. Upward rotation

Correct answer: 1. Intortion

Explanation: A i.e. Intortion